Type 1 5α - reductase enzyme is found in all except
1. Skin
2. male genitalia
3. Brain
4. Liver

Correct answer: 2. male genitalia

Explanation: Type 2 5 alpha reductase enzyme is expressed in male genitalia.